Which of the following antiviral drug has a dual antiviral activity that is against HBV and HIV?
1. Saquinavir
2. Abacavir
3. Emtricitabine
4. None of the above

Correct answer: 3. Emtricitabine

Explanation: Emtricitabine (FTC) ​
Emtricitabine, a fluoro derivative of lamivudine, inhibits both HIV and HBV.​
Reference: Lippincott Illustrated Reviews: Pharmacology Wolters Kluwer Sixth Edition page no 577​